True about inguinal canal -a) It is an intermuscular canalb) Superficial inguinal ring is situated superior and lateral to pubic tuberclesc) Deep inguinal ring is superio-medial to attachment of rectus abdominisd) In male vas deference passes through it
1. abc
2. ad
3. ac
4. bcd

Correct answer: 2. ad

Explanation: Superficial inguinal ring is supero-medial to pubic tubercle.
Deep inguinal ring lies lateral to rectus abdominis, as an opening in fascia transversalis.